Malaria is transmitted in urban areas by -
1. Anopheles stephensi
2. Anopheles culicifacies
3. Culex
4. Phlebotomus

Correct answer: 1. Anopheles stephensi

Explanation: - Anopheles stephensi is responsible for malaria in, urban and industrial areas. - this type is found in urban areas, intermediate form in urban and semi-urban localities. Reference : Park's textbook of preventive and social medicine, 23rd edition pg no:256